Discrete variability are all except-a)  Color of skinb)  Boys in the class roomc)  Obesity weightd)  Leukocyte count
1. ac
2. bc
3. ad
4. b

Correct answer: 1. ac